The most effective drug against M. leprae is:
1. Dapsone
2. Rifampicin
3. Clofazamine
4. Prothionamide

Correct answer: 2. Rifampicin

Explanation: B ie Rifampcin